Aspermia is the term used to describe :
1. Absence of semen
2. Absence of sperm in ejaculate
3. Absence of sperm motility
4. Occurrence of abnormal sperm

Correct answer: 1. Absence of semen

Explanation: Ans. is a i.e. Absence of semen Aspermia refers to failure of formation or emission of semen. The absence of spermatozoa in semen is known as Azoospermia. Semen analysis terminology Normospermia Oligozoospermiadeg / oligospermia Asthenozoospermiadeg / asthenospernia Teratozoospermiadeg Oligoasthenoteratozoospermia Azoospermiadeg Aspermia Leucocytospermiadeg Necrozoospermiadeg - All semen parameters normal Decreased sperm number < 20 million/ml - Decreased sperm motilitydeg - Increased abnormal forms of spermdeg - All sperm variables abnormaldeg - No sperm in semendeg - No ejaculate (ejaculation failure) - Increased white cells in semendeg All sperms non - viable or non-motiledeg